SSPE is a complication of:
1. Measles
2. Mumps
3. Rubella
4. Rabies

Correct answer: 1. Measles

Explanation: SSPE (Sub sclerosing panencephalitis) is a late complication of measles (10 -15 yrs ) of infection. Measles - family - Paramyxoviridae. Characteristic features: Koplik spots | Present opposite lower second molar SAR- 85% (secondary attack rate) Infectivity period of measles: | 4 days before-Rash-5days after Isolation period of measles. | Prodromal stage features ------(upto)----- 3rd day of rash Incubation period of measles -10-14 days Fever - Koplik spot - Rash (Occur on 10th day) (12th day) (14th day) Note:- Measles is also known as Rubeola. Vaccine of measles is given by subcutaneous route & diluent used is distilled water.